Optic atrophy can be caused by....poisoning :
1. Phosphrous
2. Ethyl alcohol
3. Methyl alcohol
4. Lead

Correct answer: 3. Methyl alcohol

Explanation: C i.e. Methyl alcohol